Autoimmune hemolytic anemia is associated with malignancy of which lineage :
1. T cell
2. B cell
3. Pre B cell
4. Pre T cell

Correct answer: 2. B cell

Explanation: Answer is B (B cell type) The diagnosis of typical B cell CLL should be considered in a patient presenting with an autoimmune hemolytic anemia or autoimmune thrombocvtopenia. - Autoimmune hemolytic. anemia (AIHA) and Lymphoid maliknancies Autoimune hemolytic anemias may be seen in association with Leukemias specially of the B cell CLL type and with Lymphomas especially of the Non Hodgkins type. Leukemias and AIHA Characteristically seen in association \ oh Chronic Lymphocytic Leukemia ( Typical B cell CLL) (CLL is a clonal malignancy of B cell)(2 Autoantibodies are mainly IgG type and hemolytic anemias are accordingly classified as warm antibody type Lymphomas & AIHA More commonly seen in association with Non Hodgkin's Lymphoma, but may also be Seen with Hodgkins type. Non Hodgkins(NHL)> Hodgkins (infrequent) Autoantibodies are usually IgG (warm antibodies) but cold Antibody type (IgM) hemolytic anemias may also be seen . Warm antibody type > Cold Antibody (infrequent) type